Which of the following is tarsometatarsal amputation ?
1. Sarmiento's Amputation
2. Lisfranc's Amputation
3. Chopart's Amputation
4. Syme's Amputation

Correct answer: 2. Lisfranc's Amputation

Explanation: Answer- B. Lisfranc's AmputationLisfranc's Amputation- tarsometatarsal amputationSarmiento's Amputation- 1.3 cm proximal to ankle jointSyme's amputation- through ankle jointChopart's amputation- through midtarsal joints